Visceral leishmaniasis -
1. Caused by L.tropica
2. Post-leishmaniasis dermatitis is common
3. Antimonials are useful drugs
4. Diagnosed by blood smear

Correct answer: 3. Antimonials are useful drugs

Explanation: sodium stiboglucnate given intravenously It is a pentavalent antimonial compound Antimony resistance has become a serious problem ( refer pgno: 42 baveja 3 rd edition )